Right Gastric Artery is a branch of :
1. Coelic Trunk
2. Hepatic artery
3. Gastroduodenal artery
4. Splenic artery

Correct answer: 2. Hepatic artery

Explanation: Right gastric artery originates from the hepatic artery just distal to the origin of gastroduodenal artery. It turns to the left and runs upwards along the the lesser curvature of the stomach and ends by anastomosing with the left gastric artery which is a branch of the coeliac trunk. Coeliac trunk: Arises at the level of intervertebral disc between T12 and L1 vertebrae. It is an unpaired branch of the abdominal aorta that arises from its ventral/anterior aspect (front) just below the aortic opening of diagphragm. Branches: Left Gastric artery (Smallest branch) Common Hepatic artery Splenic Artery (Largest branch of trunk) Ends by anastomosing with right gastric artery (Right Gastric artery is a branch of the hepatic artery) Common hepatic artery is a direct branch of the celiac trunk till the origin of gastroduodenal artery. The part distal to this origin is termed proper hepatic artery Short gastric arteries (5-7) Left gastroepiploic artery Numerous pancreatic branches Arteria pancreaticamagna Arteria cauda pancreatic Splenic hila branches Common Hepatic artery gives off a branch called Gastroduodenal artery and continues as the Hepatic artery proper. Right gastric artery originates from the hepatic artery just distal to the origin of gastroduodenal artery. Thus the right gastric artery may be termed as a branch of the hepatic artery proper rather than the common hepatic artery. Hepatic artery Branches: Gastro-duodenal artery Right gastric Artery Hepatic Artery proper Right gastroepiploic artery Superior pancreaticoduodenal artery Right gastric artery (ends by anastomosing with the left gastric artery) Hepatic artery proper ends by dividing into left and right hepatic arteries Right hepatic artery Left hepatic artery (cystic artery) is a branch of the right hepatic artery Ref: Vishram Singh 2nd edition Pgno: 120